Thomas test detects
1. Shortening of lower limb
2. Flexion deformity of hip
3. Lengthening of lower limb
4. Intractness of tendoachillis tendon

Correct answer: 2. Flexion deformity of hip